Performance of components of PQLI is counted between
1. -1 to +1
2. 0 to 1
3. 0 to 100
4. None

Correct answer: 3. 0 to 100

Explanation: The subjective component of well being-4 Quality of life While "level of living" is an objective component, "quality of life" comprises the individual's own subjective evaluation. The index for quality of life is "Physical quality of life index (PQLI)". The PQLI is an attempt to measure the quality of life or well-being of a country. Physical quality of life index consolidates three indicators:? Literacy rate Infant mortality rate Life expectancy at age 1 year (LE) PQLI ranges from 0 to 100. Ref: Park 24th edition